Sequence of resuscitation in a trauma patient:
1. Circulation, airway and breathing
2. Airway, breathing and circulation
3. Airway, circulation and breathing
4. Breathing, airway and circulation

Correct answer: 2. Airway, breathing and circulation

Explanation: - First step- cervical spine protection | ABCDE A - Airway maintenance B - Breathing C - Circulation D - Disability (brief neurological examination) E - Exposure and environment control